Hematoma formation is more frequent with
1. Inferior alveolar nerve block
2. Posterior superior alveolar nerve block
3. Greater palatine nerve block
4. Infraorbital nerve block

Correct answer: 2. Posterior superior alveolar nerve block